All the following are true concerning Rieger's syndrome except:
1. Autosomal recessive inheritance
2. Glaucoma
3. The possible presence of facial, dental and osseous defects
4. The spectrum of Axenfeld's anomaly and marked abnormal development of the iris mesoderm.

Correct answer: 1. Autosomal recessive inheritance

Explanation: Ans. Autosomal recessive inheritance